Transition mutation of GATCCT is:
1. GGTCCT
2. GTTCCT
3. GABCCT
4. GrUGGT

Correct answer: 1. GGTCCT

Explanation: A i.e. G G T C C T